The inducing agent of choice in shock -
1. Isoflurane
2. Desflurane
3. Ketamine
4. Thiopentone

Correct answer: 3. Ketamine

Explanation: Ans. is 'c' i.e., Ketamineo The inducing agent of choice in Asthma & COPD - Ketamine.o The inhalational agent of choice in Asthma & COPD - Halothane.Anesthetic agents of choice for various conditionso Daycare:o Ischemic heart disease:o Congenital heart diseasePropofolEtomidate# Left to right shunt:# Right to left shunt:IsofluraneKetamineo CHF:o Shock:o To produce deliberate hypotensiono Epilepsy:o For electroconvulsive therapy:o Thyrotoxicosis:o Cardiac surgery:o Neurosurgery:KetamineKetamineIsofluraneThiopentoneMethohexitoneThiopentoneIsofluraneIsoflurane